The vertical diameter of an adult eye is
1. 7 mm
2. 27 mm
3. 21 mm
4. 23 mm

Correct answer: 4. 23 mm

Explanation: Dimensions of an adult eyeball Anteroposterior diameter 24mm Horizontal diameter 23.5mm Vertical diameter 23 mm Circumference 75 mm Volume 6.5 ml Weight 7 gm Reference: A.K.Khurana; 6th edition; Page no:3